Christmas tree cataract is seen in –
1. Down's syndrome
2. Rubella
3. Myotonic dystrophy
4. Diabetes

Correct answer: 3. Myotonic dystrophy

Explanation: Christmas tree cataract is seen in myotonic dystrophy (dystrophia myotonia).